Which primary tooth has the longest duration of function?
1. mandibular canine
2. maxillary canine
3. mandibular 2nd molar
4. maxillary 2nd molar

Correct answer: 2. maxillary canine

Explanation: Maxillary Primary Canine has the longest duration of function and is the last to shed off. One of the reason is its long root.